Osteoporosis is caused by all except
1. Sarcoidosis
2. Old age
3. Hypoparathyroidism
4. Steroid therapy

Correct answer: 3. Hypoparathyroidism

Explanation: Steroid medications have major effects on the metabolism of calcium, vitamin D and bone. This can lead to bone loss, osteoporosis, and broken bones. When steroid medications are used in high doses, bone loss can happen rapidly. ... Bone loss occurs most rapidly in the first 6 months after starting oral steroid medication. A woman's estrogen levels drop after menopause, and bone loss speeds up. That's why osteoporosis is most common among older women. But men get osteoporosis, too. Women younger than age 65 who are at high risk for fractures should also be screened For patients with sarcoidosis at risk of developing osteoporosis due to prolonged intake of corticosteroids, bisphosphonates can prevent or reverse bone loss. ... In sarcoidosis, studies have demonstrated that bisphosphonates can successfully prevent osteoporosis in corticosteroid-treated patients Ref Davidson 23rd edition pg 366